Which hormone does not act through cAMP ?
1. TSH
2. Adrenaline
3. Insulin
4. ACTH

Correct answer: 3. Insulin

Explanation: Ans. is 'c' i.e., Insulin